For which malignancy, intensity Modulated Radiotherapy  is the most suitable
1. Lung
2. Prostate
3. Leukemias
4. Stomach

Correct answer: 2. Prostate

Explanation: The prostate is a walnut-sized gland located between the bladder and the penis. The prostate is just in front of the rectum.
The urethra runs through the center of the prostate, from the bladder to the penis, letting urine flow out of the body.
The prostate secretes a fluid that nourishes and protects sperm.
During ejaculation, the prostate squeezes this fluid into the urethra, and it’s expelled with sperm as semen.